Angel dust is -
1. Phencyclidine
2. LSD
3. Morphine
4. Cannibis

Correct answer: 1. Phencyclidine

Explanation: Phencyclidine (PCP), a phenylcyclohexylamine compound, is easily synthesised from piperazine, cyclohexanone, and potassium cyanide. It is commonly referred to by addicts as "angel dust" or "PCP" Ref: K.S.Narayan Reddy's Synopsis of Forensic Medicine and Toxicology, 29th edition, Chapter 30, page-332.